In which order the airway of the neonates, who require suctioning, be suctioned during neonatal resuscitation?
1. Nose followed by mouth
2. Mouth followed by nose
3. Pharynx followed by oral cavity followed by trachea
4. Nose followed by Trachea

Correct answer: 2. Mouth followed by nose

Explanation: The mouth is suctioned before the nose ('M' before 'N') To ensure that the infant does not aspirate, if he gasps when the nose is suctioned.